The ideal material used for Femoro-popliteal shunt is:
1. PTFE
2. Reverse saphenous vein
3. Polypropylene
4. Dacron

Correct answer: 2. Reverse saphenous vein

Explanation: Ref. API Textbook of Medicine. Pg. 758
 
The most ideal material used for femoro-popliteal shunt is an existing piece of vein taken from the same leg of the patient (reverse saphenous vein from this options).

Man made graft materials such as PTFE or Dacron or polyproplene are most likely to become narrowed again ,but they are still effective .
Autologous saphenous vein achieves superior patency rates to prosthetic materials especially in femoro-distal bypass.
Insitu and reversed vein graft bypasses perform equally well and the choice of technique should be based upon anatomical considerations that are specific to individual patients